All of the following are neurologic channelopathies except:
1. Episodic ataxia type 1
2. Spinocerebellar ataxia 1
3. Familial hemiplegic migraine
4. Hypokalemic periodic paralysis

Correct answer: 2. Spinocerebellar ataxia 1

Explanation: Spinocerebellar ataxia (SCA) type 1 is not a neurological channelopathy. But SCA type 6 is a neurological channelopathy. Channelopathies refers to a wide variety of neurologic diseases caused by dysfunction of ion channels in the excitable membranes. These are due to inherited mutations of genes encoding ion channels in muscle, neurons and glia. Severe myoclonic epilepsy of infancy, episodic ataxia type 1, 2, familial hemiplegic migraine, spinocerebellar ataxia type 6 are examples of neurologic channelopathy. Ref: Harrison's Internal Medicine, 18th Edition, Chapter 373; A-Z of Neurological Practice: A Guide to Clinical Neurology By Andrew J. Larner, 2nd Edition, Page 122